Sections 312 to 315 deal with ?
1. Kidnapping & abduction
2. Attention & abetment to suicide
3. Causing grevious hurt
4. Criminal abortion

Correct answer: 4. Criminal abortion

Explanation: Ans. is D. i.e., Criminal abortion312, 313, 314 and 315 IPC : For causing voluntary miscarriage (criminal abortion).312 IPC : Causing miscarriage with consent (3 years of imprisonment +- fine).313 IPC : Causing miscarriage without consent of lady (10 years of imprisonment which can extend up to life +- fine).314 IPC : Death of patient caused by miscarriage (10 years of imprisonment +- fine).315 IPC : Death of child during miscarriage (10 years imprisonment +- fine).